All statements are true about chronic obstructive pulmonary disease; except
1. FEV1  < 30 of predicted value
2. FEV1/FVC < 0.7
3. Decreased Residual volume
4. Increased total lung capacity

Correct answer: 3. Decreased Residual volume

Explanation: Spirometric classification of COPD severity based on post-bronchodilator FEV1